Which intrinsic muscle is not supplied by median nerve -
1. Abductor potlicis brevis
2. Opponens pollicis
3. First lumbrical
4. Adductor poll ids brevis

Correct answer: 4. Adductor poll ids brevis